Benefits of surgical induction (ARM) are all except
1. Enhances progress of active labor
2. Relieves the maternal distress in hydramnios
3. Decreased incidence of amnionitis
4. Reduces the need of caesarean section

Correct answer: 3. Decreased incidence of amnionitis

Explanation: One of the hazards of an ARM is Amnionitis.Careful selection of cases with favorable preinduction score will shorten the induction delivery interval. Meticulous asepsis during the procedure reduces the risk.Reference: DC Dutta's textbook of obstetrics, 8th edition, page no;602.